Gene involved in Retinoblastoma
1. 12P13
2. 13P14
3. 12Q13
4. 13Q14

Correct answer: 4. 13Q14

Explanation: Retinoblastoma - 13Q14
Wilm's tumor - 11P13